Tumour with perineural invasion:
1. Adenocarcinoma
2. Adenoid cystic Ca
3. Basaal cell ca
4. Squamous cell ca

Correct answer: 2. Adenoid cystic Ca

Explanation: Ans is 'b' ie Adenocystic Ca